In Millard Gubler syndrome, all are involved except:
1. 5th cranial nerve
2. 6th cranial nerve
3. 7th cranial nerve
4. Contralateral hemiplegia

Correct answer: 1. 5th cranial nerve

Explanation: Major focal brainstem syndromes: